Drugs used in prophylaxis of migraine are all except
1. Propanolol
2. Flunarizine
3. Topiramate
4. Levitirecitum

Correct answer: 4. Levitirecitum

Explanation: Prophylaxis of migraine is required if the attacks of frequent (more than two to three) per month the drugs used for prophylaxis are Propanol is a most commonly used drug for the prophylaxis of migraine attacks. Timolol,Atenolol, metoprolol and nadolol can be used but the drugs with ISA(pindolol) are ineffective. Calcium channel blockers like flunarizine (also block sodium channels) is also effective. Methylsergide, cyproheptadine and TCAs like amitriptyline can also be used. Clean can be used orally for the prophylaxis of migraine attack. Topiramate (anticonvulsant drug) has recently been approved for prophylaxis of migraine valproate and gabapentin also causes some prophylactic activity. Refer katzung 11/283